The cuspal inclines of the maxillary buccal cusps and the mandibular lingual cusps should be grounded if they are in deflective occlusal contact in:
1. Working position only
2. Balancing position only
3. Both working and balancing positions
4. Central position

Correct answer: 1. Working position only